Latent phase of HIV -
1. Viral Replication
2. Sequestred in lymphoid tissue
3. Infective
4. All

Correct answer: 4. All

Explanation: Ans. is 'a' i.e., Viral replication, 'b' sequestred in lymphoid tissue, 'c' i.e., Infective Latent phase of HIV . After acute HIV syndrome, most of the patient's develop a clinically asymptomatic stage . Active virus replication is on going and progressive during the asymptomatic period . Lymphoid tissues are the major anatomic sites for the establishment and propagation of HIV infection. Virus replication occurs mainly in lymphoid tissue and not in blood. . Though patients are asymptomatic (clinical latency) they do not have microbiologic latency as there is low level of viremia due to active replication. So patient is infective during this period There is steady progressive decline (not rapid) of CD4 + Tcell count during latent phase. The average rate of CD4 + T cell decline is 50/m1 per year.